Serum alkaline phosphatase is elevated in:
1. Primary biliary cirrhosis
2. Hypophosphatemia
3. Hyperphosphatemia
4. Hepatatis-A

Correct answer: 1. Primary biliary cirrhosis

Explanation: Primary biliary cirrhosis